Type of collagen forming basement membrane of kidney:
1. I
2. II
3. III
4. IV

Correct answer: 4. IV

Explanation: D i.e. IV